Which of the following is not a role of PEEP
1. Improves oxygenation
2. Decreases cardiac output
3. Decreases atelectasis
4. Decreases the risk of pneumothorax

Correct answer: 4. Decreases the risk of pneumothorax

Explanation: PEEP prevents total collapse of alveoli at end exhalation. The stinting open of the alveoli prior to the next breath helps increase the amount of lung mass participating in gas exchange. PEEP decreases V/Q mismatch by decreasing atelectasis and thereby improves both oxygenation and ventilation. PEEP increases intrathoracic pressure, which can be impedance to venous return and cardiac output. PEEP increases, not decreases, the risk of pneumothorax.